True regarding cystic hygroma is:
1. Always unilateral
2. Brilliantly translucent
3. Subsides itself
4. Always presents at birth

Correct answer: 2. Brilliantly translucent

Explanation: Ans. B: Brilliantly translucent Cystic hygromas are fluid-filled sacs that result from a blockage in the lymphatic system and are lined by single layer of epithelium. Cystic hygromas are single or multiple cysts found mostly in the neck region. Swelling may be bilateral and is soft and partially compressible, visibly increasing in size when the child cough or cries. The characteristic that distinguishes it from all other swelling of the neck is that it is brilliantly translucent. A cystic hygroma can be present as a birth defect (congenital) or develop at any time life. A cystic hygroma in a developing baby can progress to hydrops (an excess amount of fluid in the body) and eventually fetal death. Some cases of congenital cystic hygromas resolve leading to webbed neck, edema (swelling), and a lymphangioma (a benign yellowish-tan tumor on the skin composed of swollen lymph vessels). In other instances the hygroma can progress in size to become larger than the fetus. Cystic hygromas occur in approximately 1% of fetuses between weeks 9 and 16 of pregnancy. Definitive management is complete excision of the cyst at an early stage. Injection of the sclerosing agent (picibanil) may reduce the size of the cyst.